Short acting anticholinesterase drug is
1. Edrophonium
2. Neostigmine
3. Dyflos
4. Ectothiophate

Correct answer: 1. Edrophonium

Explanation: Refer kDT 6/e p 101 Edrophonium is the only short-acting anticholinesterase available; it is a synthetic quaternary ammonium compound. The drug competes with acetylcholine and binds by a non-covalent bond to acetylcholinesterase at the anionic site. The recommended dose for antagonism of neuromuscular block is 0.5-1 mg kg-1.